Fallopian tube dysmotility is seen :
1. Noonan syndrome
2. Turner syndrome
3. Kartagener syndrome
4. Marfan syndrome

Correct answer: 3. Kartagener syndrome

Explanation: Ans. is c i.e. Kartagener syndrome Primary Cilliary Dyskinesia (PCD), also known as immotile ciliary syndrome or Kartagener syndrome (KS), is a rare autosomal recessive genetic disorder in which there is a congenital absence of dynein arms (a protein structure associated with motility) in all body cilia. It can lead to male factor infertility due to diminished sperm motility in males. As far as female infertility is concerned- patients with kartageners can conceive because motility of the cilia of fallopian tube is distorted and not totally absent. Cilia lining the respiratory tract (lower and upper, sinuses, eustachian tube-middle ear) do not beat. A poor sense of smell accompanies high mucus production in the sinuses.